Slidding constituent of a large direct hernia is
1. Bladder
2. Sigmoid colon
3. Caecum
4. Appendix

Correct answer: 1. Bladder

Explanation: Ans. is 'a' i.e., Bladder Sigmoid colon and Caecum slide into indirect sac not in direct sac